Which of the following drug is a SERM is useful for treatment of osteoporosis?
1. Raloxifene
2. Bisphosphonate
3. Strontium
4. Estradiol

Correct answer: 1. Raloxifene

Explanation: Raloxifen has agonistic action on estrogen receptors on bone Raloxifene is a first line drug for prevention and treatment of osteoporosis in postmenopausal females. It prevent bone loss, increases bone mineral density by 0.9 percent. (REF.Essential of medical pharmacology K D TRIPATHI 6 Edition, Page No - 305)